MC cancer due to Radiation –
1. Leukaemia
2. Bronchogenic Ca
3. Thyroid Ca
4. Breast cancer

Correct answer: 1. Leukaemia

Explanation: Leukemia is the most common radiation induced cancer.